Free water clearance is positive when urine is
1. Dilute
2. Concentrate
3. Isotonic
4. Any of the above

Correct answer: 1. Dilute

Explanation: Ans. is 'a' i.e., Dilute(Ref: Principles of Medical Physiology p' 39IlKidney excretes some solutes in the urine daily.The volume of tater in urine, excreted per unit time in excess of thot required to excrete the contained solutes is-osmotically with plasma.Free water clearance is positive in dilute urine, negative where concentrated urine is passed and zero when isotonic urine is passed.